Dysphagia lusoria is diagnosed by
1. Barium swallow
2. Endoscopy
3. CT angiography
4. PET CT

Correct answer: 3. CT angiography

Explanation: It is aberrant right subclavian artery pressing on the oesophagus causing dysphagia. Diagnosed by CT angiography.